The migrating motor complex in humans-
1. Occurs only in the small intestine
2. Requires an intact intrinsic nervous system for coordinated propagation
3. Is the result of food-mediated distension of the small intestine
4. Mixes intestinal contents with bile and the digestive enzymes.

Correct answer: 2. Requires an intact intrinsic nervous system for coordinated propagation

Explanation: An intact enteric nervous system is essential for propagation of migrating motor complexes along the bowel. During the interdigestive period, the GI tract undergoes regular increases in peristaltic contractile activity at about every 90 mm that are termed migrating motor complexes. Originally recorded from the small intestine, they begin in the smooth muscle of the esophagus or the stomach. They are commonly associated with periodic increases in the hormone motilin. Although it is still unclear, they appear to serve a "house keeping function" by clearing the GI tract of luminal contents. They are immediately interrupted when a meal is ingested.